Which of the following is not a 2nd generation antihistamine?
1. Cetrizine
2. Cyclizine
3. Loratidine
4. Fexofenadine

Correct answer: 2. Cyclizine

Explanation: Ans. b. Cyclizine (Ref: Katzung 11/e p277)Cyclizine is a first generation antihistaminics.Cetrizine, Loratidine and Fexofenadine are second generation antihistaminics.AntihistaminicsFirst GenerationSecond Generation* Ethanolamines:* Piperadine:- FexofenadineQ* Miscellaneous:- LoratidineQ- CetrizineQ- Carbinoxamine- Diphenhydramine* Piperazine:- Dimenhydrinate- Hydroxyzine- Meclizine* Alkyiamines:- CyclizineQ- Bromopheniramine* Phenothiazines:- Promethazine* Miscellaneous:- Cyproheptadine- Chlorpheniramine